Which of the following is the best indicator of environmental iodine deficiency:
1. Neonatal hypothyroidism
2. Prevalence of goitre in pregnancy
3. Prevalence of goitre in the age group of 12-18 years
4. Soil iodine levels

Correct answer: 1. Neonatal hypothyroidism

Explanation: Ans. A: Neonatal hypothyroidism Neonatal hypothyroidism has been found to be a sensitive indicator of environmental iodine deficiency National Goitre Control Programme Following the successful trial of iodised salt in Kangara valley, Himachal Pradesh in 1962, India has launched 100% centrally sponsored the National Goiter Control Programme. Objectives - Initial survey to identify magnitude of problem in the country; - Production and supply of iodized salt to the endemic regions; - Health Education and Publicity; - To undertake monitoring of the quality of iodized salt assessing urinary iodine excretion pattern and monitoring of Iodine Deficiency disorder; and - Re-survey in goiter endemic regions after five years continuous supply of iodized salt to assess the impact of the control programme. In 1992, the National Goiter Control Programme (NGCP) was renamed as National Iodine Deficiency Disorder Control Programme (NIDDCP). Policy On the recommendations of Central Council of Health in 1984, the Government took policy decision with the goal of "Universal Iodization of Salt" by 1992 and starting of Salt department in the Ministry of Industry. Pilot Project against Micronutrient Malnutrition - Micronutrient malnutrition is a global public health problem. There is problem of iodine, iron, zinc, ad fluorine deficiency leading to many clinical manifestations in the population. - The pilot project programme against micronutrient malnutrition is being started in the year 1995 in Assam along with four other states - Bihar, Orissa, West Bengal and Gujarat. - This project has been merged with NIDDCP. Objectives To access the magnitude of fluorosis and dental caries beside assessing the iron and Vitamin-A deficiency in the project area; To assess and improve iron and vitamin-A status in school going children, adolescent, boys and girls, non-pregnant women, adult males and geriatric population; To launch extensive information, education and communication strategy through mass media to improve the dietary habits of the populations; and To study zinc level in various food products and soil. To coordinate with similar ongoing programme being implemented in the country.